A patient on anti-epileptic drugs now complains of progressive B/L constriction of visual fields. Pt is on which drug?
1. Ethosuximide
2. Vigabatrin
3. Phenobarbitone
4. Levetiracetam

Correct answer: 2. Vigabatrin

Explanation: Vigabatrin is implicated in causation of constriction of visual field.